All are a differential diagnosis in hypochromic microcytic anaemia Except
1. Thalassemia
2. Iron deficiency
3. Sideroblastic anemia
4. Recent blood loss

Correct answer: 4. Recent blood loss

Explanation: Differential diagnosis of a hypochromic microcytic anaemia: iron deficiency, thalassemia, anaemia of chronic disease, sideroblastic anaemia.In recent blood loss, the blood smear shows macrocytosis and polychromasia, which results from an increased reticulocyte count.Harrison 19e pg: 628